Insulin storage in the body requires which ion?
1. Cu
2. Zn
3. Mo
4. Se

Correct answer: 2. Zn

Explanation: Zinc is involved in the insulin packaging, secretion, and signaling Zinc in pancreatic beta cells binds to several insulin molecules, six to be exact, forming an insulin hexamer for storage.Ref: DM Vasudevan, 7th edition, page no: 319